Schmorl's nodule is a radiographic finding seen in:
1. Spondylolithiasis
2. Ankylosing spondylitis
3. Intervertebral disc prolapse
4. Fracture of transverse process vertebra

Correct answer: 3. Intervertebral disc prolapse

Explanation: Schmorl's node (SN) is the herniation of nucleus pulposus (NP) through the cartilaginous and bony end plate into the body of the adjacent vertebra. They appear as shallow concavities along the superior and inferior endplates of vertebral bodies and are often detected incidentally. Ref: Spinal Imaging: Diagnostic Imaging of the Spine and Spinal Cord, edited by Johan W. M. van Goethem, Page 351.